In Peutz-Jeghers syndrome, polyps are mainly seen in:
1. Rectum
2. Colon
3. Esophagus
4. Jejunum

Correct answer: 4. Jejunum

Explanation: In Peutz-Jeghers syndrome, polyps are mainly seen in Jejunum Peutz-Jeghers syndrome Autosomal dominant disorder Most common in small intestine- Jejunum Germ line loss of function mutations in LKB1/STK11 gene are present May occur in stomach, colon & with much lower frequency in bladder and lungs Multiple gastrointestinal hamartomatous polyps + Mucocutaneous hyperpigmentation Gross- Polyps are large & pedunculated with lobulated contour Histologic findings : characterized by proliferation of the muscularis mucosae to form branching configurations covered by hypertrophic, but otherwise normal mucosa